Lisch nodules in neurofibromatosis are -
1. Iris pearls
2. Hamartomas
3. Granulomas
4. None of the above

Correct answer: 2. Hamartomas